Amiddle aged female presents with polyarthritis with elevated rheumatoid factor and A.N.A. levels, which among the following will help you to differentiate rheumatoid arthritis from SLE?
1. Soft tissue swelling at the proximal inter phalangial joint
2. Juxta articular osteoporosis on X-ray
3. Articularerosions on X-ray
4. Elevated ESR

Correct answer: 3. Articularerosions on X-ray

Explanation: Articular erosions on X-ray Always remember this important point about SLE "Erosions on joint X-ray are rare, their presence suggests a non lupus inflammatory arthropathy such as rheumatoid arthritis". This fact has been asked so many times in various exams as : ? "Non erosive arthritis is a. feature of which of the following" On the other hand erosion is a characteristic X-ray feature of Rheumatoid arthritis. The pirmnary value of radiography in patients with Rheumatoid arthritis is to determine the extent of bone erosion and cartilage destruction. The radiological hallmark of rheumatoid arthritis is : Juxtaarticular osteopeniaQ - Bone erosions? - Narrowing of joint space .from loss of articular cartilage?. Proximal interphalangeal joint can be involved in both Rheumatoid arthritis and SLE. The characteristic feature of Rheumatoid arthritis is sparing of the distal interphalangeal joint. . E.S.R. can be elevated in both Rheumatoid arthritis and SLE. Some SLE cases are even positive for Rheumatoid factor. According to current Rheumatology diagnosis and treatment "SLE may he confused with other connective tissue diseases especially Rheumatoid arthritis. SLE patients may even have positive Rheumatoid factor. The usual presentation of lupus arthritis is identical to that of Rheumatoid arthritis, but SLE arthritis is rarely erosive".